Which intravenous anaesthetic agent has high incidence of pychomimetic reactions during early recovery period-
1. Ketamine
2. Thiopentone
3. Propofol
4. Etomidate

Correct answer: 1. Ketamine

Explanation: Ketamine has been associated with emergence reaction/delirium incidence of which ranges from 3% to 100%. Emergence reactions seen with ketamine include vivid dreaming, extracorporeal experiences (sense of floating out of the body), and illusions (misinterpretation of a real, external sensory experience) during emergence from anesthesia. These are usually associated with excitement, confusion, euphoria, and fear. Emergence reaction can be reduced by the use of benzodiazepines.